Which one of the following methods of MTP is associated with the complication of coagulopathy:
1. Aspirotomy
2. Hypertonic saline
3. Ethacrydine lactate
4. Prostaglandins

Correct answer: 2. Hypertonic saline

Explanation: Hypertonic saline